Class 3 antiarrhythmic drugs is
1. Amiodarone
2. Phenytoin
3. Propafenone
4. Pindolol

Correct answer: 1. Amiodarone

Explanation: Refer kDT 6/e p 511 Class III agents have the potential to prolong the QT interval of the EKG, and may be proarrhythmic (more associated with development of polymorphic VT). Class III agents include: bretylium, amiodarone, ibutilide, sotalol, dofetilide, vernakalant and dronedarone